A seventy year old patient is posted for a surgery which is likely to last 4–6 hours. The best inhalational agent of choice for maintenance of anaesthesia in such a case is –
1. Methoxyflurane
2. Ether
3. Trichlorethylene
4. Desflurane

Correct answer: 4. Desflurane

Explanation: "The rapid elimination of desflurane make it the inhalational anaesthetic of choice for elderly patients". — Morgan